The complication that can occur with internal podalic version for transverse lie is:
1. Uterine rupture
2. Uterine atony
3. Cervical laceration
4. Vaginal laceration

Correct answer: 1. Uterine rupture